A lung biopsy of a HIV patient showed intra nuclear basophilic inclusion bodies with perinuclearhalo.The patient's CD4 was les then 100 at the time of diagnosis. What is the probable cause?
1. CMV
2. MAC
3. Pneumocystis
4. TB

Correct answer: 1. CMV

Explanation: Cytomegalovirus (CMV) is a double-stranded DNA virus in the herpes virus family that can cause disseminated or localized end-organ disease in HIV-infected patients with advanced immunosuppression. Retinitis is the most common clinical manifestation of CMV end-organ disease in HIV-infected patients. Laboratory tests will be done on a sample of tissue taken from your stomach or intestine. The tests, such as a gastric or intestinal ,lungtissue culture or biopsy, determine if the virus is in the tissue. A CMV serology test is done to look for antibodies to the CMV virus in your blood Ref Harrison20th edition pg 987